True about prion protein diseases is all, except-
1. Myoclonus is seen in 10% of the patients
2. Caused by infectious protein
3. Brain biopsy is diagnostic
4. Commonly manifest as dementia

Correct answer: 1. Myoclonus is seen in 10% of the patients

Explanation: caused by ifectious prpteins.brain biopsy is daignostic REF:ANATHANARAYANAN MICROBIOLOGY NINTH EDITION PAGE.557